The ideal place to record temperature in a dead body is from:
1. Axilla
2. Groin
3. Rectum
4. Mouth

Correct answer: 3. Rectum

Explanation: Reddy - “The rectum is the ideal place to record temperature except in cases of sodomy.
The temperature can also be recorded by making a small opening into the peritoneal cavity and inserting the thermometer in contact with the inferior surface of the liver.
The external auditory meatus or the nasal passages also can be used to record temperature ”